Which is of the following is not a content of inguinal canal?
1. Spermatic cord
2. Round ligament
3. Ilioinguinal nerve
4. Pudendal nerve

Correct answer: 4. Pudendal nerve

Explanation: Contents of inguinal canal: Spermatic cord- in males Round ligament- in females Ilioinguinal nerve Genital branch of genitofemoral nerve